A boy fell down from a tree and has fracture of neck of humerus. He cannot raise his arm because of the involvement of-
1. Axillary nerve
2. Supraspinatus nerve
3. Musculocutaneous nerve
4. Radial nerve

Correct answer: 1. Axillary nerve

Explanation: Nerve injured in the fracture of neck of humerus is axillary nerve.